Simple partial motor seizure is diagnosed by the following
1. MRI
2. CT scan
3. EEG
4. BEAR

Correct answer: 3. EEG

Explanation: (C) EEG > All patients who have a possible seizure disorder should be evaluated with an EEG as soon as possible. The EEG measures electrical activity of the brain by recording from electrodes placed on the scalp. The potential difference between pairs of electroces is amplified and displayed on a computer monitor, oscilloscope, or paper.> The characteristics of the normal EEG depend on the patient's age and level of arousal. The recorded activity represents the post- synaptic potentials of vertically oriented pyramidal cells in the cerebral cortex and is characterized by its frequency.